`Gandy-Gamma' nodules are typically sen in chronic venous congestion of-
1. Lung
2. Kidney
3. Liver
4. Spleen

Correct answer: 4. Spleen

Explanation: CVC Spleen Chronic venous congestion of the spleen occurs in right heart failure and in portal hypertension from cirrhosis of the liver. Microscopically, the features are as underi) Red pulp is enlarged due to congestion and marked sinusoidal dilatation and there are areas of recent and old haemorrhages. Sinusoids may get converted into capillaries (capillarization of sinusoids).ii) There is hyperplasia of reticuloendothelial cells in the red pulp of the spleen (splenic macrophages).iii) There is fibrous thickening of the capsule and of the trabeculae.iv) Some of haemorrhages overlying fibrous tissue get deposits of haemosiderin pigment and calcium salts; these organised structures are termed as Gamna-Gandy bodies or siderofibrotic nodules.v) The firmness of the spleen in the advanced stage is seen more commonly in hepatic cirrhosis (congestive splenomegaly) and is the commonest cause of hypersplenism. HARSH MOHAN Textbook of pathology 6th edition pg no 107